A terminally ill patient with Ca pancreas is on IV Diamorphine 10 mg/day in a cancer institute in Kerala. He is being discharged from the hospital and would like to convert it to Oral Morphine. What is the approximate dose of oral Morphine needed in this patient?
1. 20 mg
2. 30 mg
3. 40 mg
4. 5 mg

Correct answer: 2. 30 mg

Explanation: The potency of some drugs in relation to morphine is given below IV morphine - potency 2 x oral morphine IV diamorphine - potency 3 x oral morphine Oxycodone P.O - potency 2 x oral morphine Oxycodone IV - potency 3 x oral morphine Ref: Oxford handbook of clinical specialities, 8th Edition , Page 535